Which of the following drugs is recommended for the treatment of Heparin Induced thrombocytopenia?
1. Abciximab
2. Lepirudin
3. Warfarin
4. Alteplase

Correct answer: 2. Lepirudin

Explanation: Lepirudinis a recombinant preparation of hirudin which acts by inhibiting thrombin directly. It is the recommended drug for treatment of heparin induced thrombocytopenia. Ref: Goodman And Gillman's Manual of Pharmacology, 2007, Page 955; Clinical Hematology & Oncology By Bruce Furie, 2003, Page 488.